Which of the following infection is mainly diagnosed by serological tests-
1. Actinomycosis
2. Q Fever
3. TB
4. Leprosy

Correct answer: 2. Q Fever

Explanation: Ans. is 'b' i.e., Q fever o The diagnosis of actinomycosis is most commonly made by microscopic identification of sulphur granules,o In most instances, the diagnosis of Q-fever relies upon serology,o TB is usually diagnosed by sputom microscopy and/or culture.o Leprosy is diagnosed clinically which is confirmed by histological examination of skin biopsies and by the detection of acid fast bacilli in nasal discharges, scraping from nasal mucosa and slit-skin smear.